A 50 year old diabetic patient had Labarotary and clinical findings indicating liver cirrhosis. He also developed hyper - pigmentation of the skin. Which of the following can be the probable diagnosis
1. Wilson's disease
2. Hemochromatosis
3. PBC
4. PSC

Correct answer: 2. Hemochromatosis

Explanation: Hemochromatosis can present as "Bronze Diabetes". A classic triad of Cirrhosis, Diabetes mellitus and hyperpigmentation.